Tetrahydrobiopterin is required for the metabolism of
1. Alanine
2. Lysine
3. Phenylalanine
4. Serine

Correct answer: 3. Phenylalanine

Explanation: THB is a cofactor for Aromatic amino acid (Tryptophan, Phenylalanine & Tyrosine) hydroxylases (See Fig)* Nitric acid synthase Serotonin synthesis Non-classical phenylketonuria types are due to defect in the synthesis or recycling of THB. Tetrahydrobiopterin (THB) is a nucleotide cofactor derived from Guanosine triphosphate.